Neutropenia after chemotherapy is treated by?
1. Leucovorin
2. Filgrastim
3. Ondansetron
4. Darbepoetin

Correct answer: 2. Filgrastim

Explanation: Ref: Goodman & Gillman 13th ed. P 756* Filgrastim is G-CSF (Granulocyte Colony Stimulating Factor)* The principal action of filgrastim is the stimulation of CFU-G to increase neutrophil production* Forms of G-CSF are now available, including two longer- acting pegylated forms, pegfilgrastim and lipegfilgrastim.* Use:# Severe neutropenia after autologous hematopoietic stem cell transplantation# Neutropenia after high dose cancer chemotherapy# Congenital neutropenia# Neutropenia of any other cause* Dose: 1-20mg/kg/day via IV or subcutaneous route* Side effect: Mild-to-moderate bone pain